Urgent reversal of warfarin induced bleeding can be done by the administration of:
1. Cryoprecipitate
2. Platelet concentrates
3. Fresh frozen plasma
4. Packed red blood cells

Correct answer: 3. Fresh frozen plasma

Explanation: Ans. (C) Fresh frozen plasma(Ref: KDT 8/e p669)Treatment of choice for urgent reversal of bleeding due to oral anticoagulant overdose is fresh frozen plasma. It is administered to replenish the deficient factors.